Degeneracy of codon means:
1. More than one codon for a single amino acid
2. More than one amino acid for a single codon
3. No punctuation in codons
4. Termination of protein synthesis

Correct answer: 1. More than one codon for a single amino acid

Explanation: More than one codon for a single amino aci